Which is the longest chromosome?
1. Chromosome 1
2. Chromosome 21
3. Chromosome 14
4. Chromosome X

Correct answer: 1. Chromosome 1

Explanation: Chromosome 1 is the longest chromosome. In a karyotype, chromosomes- arranged according to their length and banding features. Chromosomes 1 to 22 are arranged according to their length, in the descending order. Chromosome X is longer than the Y Chromosome.